True about dystrophic calcification is:
1. This is the most frequent type of pathologic calcification.
2. In the mouth, areas of dystrophic calcification may frequently  be found in the gingiva, tongue or cheek.
3. One of the most common intraoral  dystrophic calcifications is found in the pulp of teeth.
4. All of the above.

Correct answer: 4. All of the above.

Explanation: In the mouth, areas of dystrophic calcification may frequently be found in the gingiva, tongue or cheek. Such areas are also found in the benign fibromas of the mouth and adjacent structures. One of the most common intraoral dystrophic calcifications are found in the pulp of teeth.